Selective inhibition of synthesis of dipicolinic acid (structure shown below) would most likely inhibit the formation of
1. Bacterial flagella
2. Bacterial spores
3. Eukaryotic cilia
4. Eukaryotic flagella

Correct answer: 2. Bacterial spores

Explanation: Dipicolinic acid, formed in the synthesis of diaminopimelate (DAP), is a prominent component of bacterial spores but is not found in vegetative cells or eukaryotic appendages or fimbrial structures. The calcium salt of dipicolinic acid apparently plays an important role in stabilizing spore proteins, but its mechanism of action is unknown. Dipicolinic acid synthetase is an enzyme unique to bacterial spores.